Opportunistic infection is caused by
1. Penicillium
2. Mucor
3. Aspergillus
4. All

Correct answer: 4. All

Explanation: Ans. d (All of the above). (Ref. Anantanarayan, Microbiology, 7th ed.617)Opportunistic fungal infectionsFUNGUSCLINICAL MANIFESTATIONSMICROBIOLOGICAL FEATURESDIAGNOSTIC TESTSCandida albicansThrush in immunocompro- mised (neonates, steroids, diabetes, AIDS), vulvovaginitis (high pH, diabetes, use of antibiotics), disseminated candidiasis, chronic muco- cutaneous candidiasis.Diabetes is most common predisposing factor.Are Budding gram-positive cells that produce pseudomycelia.Produces creamy-white, smooth colonies with yeast odour on Sabouraud's media.Mycelial forms indicate colonization and tissue invasion.C. albicans alone formsChlamydospores on corn meal agar at 20degC.Germ tube formation(Reynold's Braude phenonmenon) is diagnostic.Aspergillus fumigatusABPA, lung cavity asper- gilloma, invasive aspergillosis, especially in immunocompromised and those with chronic granulomatous disease.Mold with septate hyphae that branchat a V-shaped (45deg) angle. Not dimorphic. Cryptococcus neoformansCryptococcal meningitis, cryptococcosis."Soap bubble" lesions in brain.Found in soil, pigeon droppings.Heavily encapsulated yeast.Not dimorphic.Culture on Sabouraud'sagar.Stains with India ink.Latex agglutination test detects polysaccharide capsular antigen.Mucor and Rhizopus Mucormycosis.Mold with irregular non- septate hyphae branching at wide angles spp. (? 90deg).Disease mostly in ketoacidotic diabetic and leukemic patients.Fungi also proliferate in the walls of blood vessels and cause infarction and necrosis of distal tissue. Rhinocerebral, frontal lobe abscesses.Biopsy